True about polio vaccination is all EXCEPT -
1. Follow up of AFP for 30 dyas
2. Salk contains three types of polio virus
3. Pulse polio doses are extra and supplemental
4. Oral polio vaccine provides intestinal immunity also

Correct answer: 1. Follow up of AFP for 30 dyas

Explanation: Follow up in 60 days. Reference:Park's textbook of preventive and social medicine,K.Park,23rd edition,page no:203.